Stress-induced ulcers are most commonly found in the
1. Fundus of stomach
2. Antrum of stomach
3. Pyloric channel
4. First part of duodenum

Correct answer: 1. Fundus of stomach

Explanation: 95% of benign gastric ulcer occurs towards lesser curve. A benign gastric ulcer is more common in lesser curvature, as it takes more burden of a passage of food and so more of wear and tear. A benign gastric ulcer is rare in greater curvature, fundus and cardia. Ref: SRB's manual of surgery,3 rd ed, pg no 754